The causative agent of Lyme's disease:
1. Borrelia burgdorferi
2. Borrelia recurrentis
3. Leptospira icterohemorrhagiae
4. Clostridium difficile

Correct answer: 1. Borrelia burgdorferi

Explanation: Borrelia burgdorferi